Uniform loading of periodontal ligament occurs in which of the following tooth movements
1. Tipping
2. Translation
3. Intrusion
4. Extrusion

Correct answer: 2. Translation